Highest refractory of index is at
1. Ant surface of cornea
2. Post surface of cornea
3. Center of lens
4. Posterior capsule of lens

Correct answer: 3. Center of lens